Treatment of severe ulnar neuritis in borderline tuberculoid leprosy is which of the following?
1. MDT only
2. MDT +steroid
3. Wait and watch
4. MDT + thalidomide

Correct answer: 2. MDT +steroid

Explanation: Borderline tuberculoid leprosy patients may experience both type 1 rtant type 2 lepra reactions. If there is nerve involvement in type 1 lepra reaction, corticosteroids are added to the Multi drug treatment regimen. Ref: Textbook of Dermatology, Venereology and Leprology, Devinder Mohan Thappa, 2nd Edition, Page 326 & 332; Handbook of leprosy by Jopling & Mc Dougall 5,th /127, 123; Current treatment options in Neurology 2002, / 189- 196.